Visceral aneurysm is most commonly seen in -
1. Splenic
2. Renal
3. Hepatic
4. Coronary

Correct answer: 1. Splenic

Explanation: Most common visceral artery aneurysm is splenic artery aneurysm.
2nd  most common visceral artery aneurysm is hepatic artery aneurysm.